Disease higly transmitted during incubation period is -a)  Pertussisb)  Cholerac)  Measlesd)  Brucellosise)  Chickenpox
1. cb
2. bad
3. ace
4. da

Correct answer: 3. ace